Shoulder pain post laparoscopy is due to
1. Subphrenic abscess
2. CO2 retention
3. Positioning of the patient
4. Compression of the lung

Correct answer: 2. CO2 retention

Explanation: Laparoscopy Needle used for pneumoperitoneum : Veress needle Most commonly used gas: CO2 Flow of gas : 1L/min Intra abdominal pressure : 12-15mmHg Trocar is inserted at or just below the umbilicus penetrating skin, superficial & deep fascia, fascia transversalis & parietal peritoneum Post-laparoscopy shoulder pain is due art to CO2 retention causing irritation of diaphragm & referred pain to the shoulder through phrenic nerve Ref: Sabiston 20th edition Pgno : 394-396